Gonococcus ferments:
1. Glucose
2. Maltose
3. Sucrose
4. Fructose

Correct answer: 1. Glucose

Explanation: Ans. A i.e. N. gonorrhoeae also called gonococcus oxidise glucose, not maltose, sucrose, or lactose; N. meningitidis ferments glucose and maltose.